Which is the most common childhood CNS tumor metastasize outside brain
1. Ependymoma
2. Glioblastoma multiforme
3. Choroid plexus tumor
4. Medulloblastoma

Correct answer: 4. Medulloblastoma

Explanation: Medulloblastoma is the childhood brain tumor that most commonly metastasizes extraneuronally."- Nelson Also know There are age-related differences in primary location of tumor. Most common brain tumor in children <1 yr of age -- Choroid plexus tumors (Choroid plexus papilloma and choroid plexus carcinoma ) MC primary brain tumor in adults -- Glioblastoma Multiforme Most malignant primary brain tumor in adults- Glioblastoma Multiforme Ref : Nelson 18/e p2136